Which is the most common visual field defects in pituitary adenoma
1. Bi temporal hemianopia
2. Homonymous hemianopia
3. Scotoma
4. Bilateral superior visual field defects

Correct answer: 1. Bi temporal hemianopia